A 40 year old lady presents with bilateral Papilloedema. CT scan shows normal ventricles.diagnosis is -
1. Benign intracranial hypertension
2. Malignant hypertension
3. Papillus
4. Raised intraocular pressure

Correct answer: 1. Benign intracranial hypertension

Explanation: Benign intracranial hypertension (Pseudotumor cerebri) is characterized by raised ICT, papilloedema and normal sized ventricles.